Gluconeogenesis can occur from all except
1. Lactic acid
2. Aceto acetate
3. Glycerol
4. Alanine

Correct answer: 2. Aceto acetate

Explanation: Substrates for gluconeogenesis are lactate (lactic acid), pyruvate, glycerol, glucogenic amino acids (all amino acids except leucine and lycine), propionate and intermediates of the citric acid cycle.